Which of the following pathological agents are implicated in pseudogout?
1. Sodium monourate
2. Calcium oxalate
3. Calcium pyrophosphate
4. Sodium pyrophosphate

Correct answer: 3. Calcium pyrophosphate

Explanation: Pseudogout is a result of synovitis caused by calcium pyrophosphate crystals.